Following are causes of unconjugated hyperbilirubinemia except
1. Hemolytic anemia
2. Large hematoma
3. Rotor syndrome
4. Megaloblastic anemia

Correct answer: 3. Rotor syndrome

Explanation: Rotors is conjugated hyperbilirubinemia. Others are unconjugated hyperbilirubinemia. Reference: davidson, 23rd edition, page 860